All is true about syphilis except
1. Seropositive infant not treated at birth if mother received penicillin in 3rd trimester
2. For neurosyphilis FTA-ABS is sensitive; VDRL diagnostic but CSF pleocylosis is best treatment response guide.
3. HIV patients are less likely to become VDRL nonreactive after treatment
4. EIA+, RPR+, indicate past or current infection

Correct answer: 1. Seropositive infant not treated at birth if mother received penicillin in 3rd trimester

Explanation: A i.e. Seropositive infant not treated at birth if mother received penicillin in 3rd trimester